Most common organism cultured from Acute Osteomyelitis is:
1. Gonococcus.
2. Staphylococcus aureus.
3. Staphylococcus albicans.
4. Streptococci.

Correct answer: 2. Staphylococcus aureus.